Ipratropium bromide used in bronchial asthma is:
1. Beta Sympothomimetics
2. Methylxanthines
3. Anticholinergic
4. Mast cell stabilizers

Correct answer: 3. Anticholinergic

Explanation: CLASSIFICATION of asthma drugs1.Bronchodilators - a)Sympathomimetics: Salbutamol, Terbutaline, Bambuterol, Salmeterol, Formoterol, Ephedrine. b)Methylxanthines: Theophylline (anhydrous), Aminophylline, Choline theophylline, Hydroxyethyl theophylline, Theophylline ethanolate of piperazine, Doxophylline. c)Anticholinergics: Ipratropium bromide, Tiotropium bromide. 2.Leukotriene antagonists: Montelukast, Zafirlukast. 3.Mast cell stabilizers: Sodium cromoglycate, Ketotifen. 4.Corticosteroids - a)Systemic: Hydrocortisone, Prednisolone and others. b)Inhalational: Beclomethasone dipropionate, Budesonide, Fluticasone propionate, Flunisolide, Ciclesonide. 5.Anti-lgE antibody :Omalizumab ESSENTIALS OF MEDICAL PHARMACOLOGY 7TH EDITION KD TRIPATHI PAGE NO:222